Appropriate material for antenatal diagnosis of genetic disorders includes all the following except :
1. Fetal blood
2. Amniotic fluid
3. Chorionic villi
4. Maternal urine

Correct answer: 4. Maternal urine

Explanation: Prenatal genetic diagnosis can be made by Chorionic villi sampling Amniocentesis Cordocentesis Fetal blood tests -Triple test. Ref: Datta Obs 9e pg 103.